During a pelvic examination, a gynecologist discovers an adnexal mass in a 32 year old woman. Resection of the mass demonstrates a malignant ovarian tumor. The tumor suppressor gene strongly associated with this tumor is also associated with cancer of which other organ or tissue?
1. Breast
2. Colon
3. Pancreas
4. Peripheral nerve

Correct answer: 1. Breast

Explanation: The tumor suppressor gene most strongly associated with ovarian carcinoma is BRCA-1, which is also associated with breast cancer. This tumor suppressor gene is located on 17q. Associate APC (5q), DCC (18q), and p53 (17p) with colon cancer . Associate DPC (18q) with pancreatic cancer.Associate NF-1 (17q) with neurofibromatosis type I, which is associated with peripheral nerve tumors. Ref: Cunningham F.G., Leveno K.J., Bloom S.L., Hauth J.C., Rouse D.J., Spong C.Y. (2010). Chapter 57. Neoplastic Diseases. In F.G. Cunningham, K.J. Leveno, S.L. Bloom, J.C. Hauth, D.J. Rouse, C.Y. Spong (Eds), Williams Obstetrics, 23e.